Drug of choice for nasal carriers of MRSA is:
1. Vancomycin
2. Teicoplanin
3. Mupirocin
4. Linezolid

Correct answer: 3. Mupirocin

Explanation: Vancomycin is the DOC for the treatment of MRSA DOC for nasal carriers of MRSA is mupirocin DOC for VRSA is daptomycin